A patient using a contact lens develops a corneal infection. Laboratory diagnosis of acanthamoeba keratitis was established. The following is the best drug for treatment –
1. Propamidine
2. Neosporine
3. Ketoconazole
4. Polyhexamethylene biguanide

Correct answer: 4. Polyhexamethylene biguanide

Explanation: PHMD is the drug of choice. Chlorhexidene is an alternative

"Treatment with PHMB or chlorhexidene is often combined with propamidine and neomycine". — Infections of eye